The ureter is identified at operation by:
1. Rich arterial plexus
2. Peristaltic movement
3. Relation to lumber plexus
4. Accompanied by renal vein

Correct answer: 2. Peristaltic movement

Explanation: At operation, the ureter is recognized by:

Its pale glistening appearance
By a fine longitudinal plexus of vessels on its surface
More particularly by its peristaltic movement
By palpation between finger and thumb as a firm cord which, when escapes, gives a characteristic 'snap'.

The absence of pulsation does not serve to identify a structure as ureter because veins and obliterated umbilical artery are also non-pulsatile.